Oliguria is defined as -
1. 24 hour urine output <200 ml
2. 24 hour urine output <300 ml
3. 24 hour urine output <400 ml
4. 24 hour urine output <500 ml

Correct answer: 3. 24 hour urine output <400 ml

Explanation: Ans. is 'c' i.e., 24 hour urine output <400 ml Oliguria and Anuria* Oliguria refers to a 24-h urine output <400 mL, and* Anuria is the complete absence of urine formation (<100 mL in 24 hours).